Quarter staggered arrangement is seen in
1. Immunoglobulin
2. Hemoglobin
3. Keratin
4. Collagen

Correct answer: 4. Collagen

Explanation: The collagen fibres have a triple stranded,quarter staggered arrangement. This arrangement helps in mineralization Tropocollagen molecules are arranged in a "quater-staggered array" to form collagen fibres . Reference: Harpers illustrated biochemistry 31st edition pg 593